Which of the following is not true about Neisseria gonorrhoea -
1. It is an exclusive human pathogen
2. Some strains may cause disseminated disease
3. Acute urethritis is the most common manifestation in males
4. All strains are highly sensitive to penicillin

Correct answer: 4. All strains are highly sensitive to penicillin